Which of the following cell organelle is mainly involved during apoptosis?
1. Nucleus
2. Mitochondria
3. Endoplasmic reticulum
4. Golgi complex

Correct answer: 2. Mitochondria

Explanation: Loss of mitochondrial function is seen during apoptosis. Mitochondrial membrane integrity is not maintained, causing the end of normal activity and release of cytochrome c into the cytoplasm where it activates proteolytic enzymes called caspases. The initial caspases activate a cascade of other caspases, resulting in protein degradation throughout the cell. Ref: Mescher A.L. (2010). Chapter 3. The Cell Nucleus. In A.L. Mescher (Ed), Junqueira's Basic Histology: Text & Atlas, 12e.